Characteristic feature of nephritic syndrome in children -
1. Lipid casts in urine
2. WBC casts in urine
3. RBC casts in urine
4. Albumin in urine

Correct answer: 3. RBC casts in urine

Explanation: Ans. is 'c' i.e., RBC casts in urine Acute nephritic syndrome o Nephritic syndrome is a collection of signs associated with disorders affecting the kidneys, more specifically glomerular disorders and is characterized by haematuria, protenuria, hypertension, edema and oliguria. 1. Haematuria The haematuria is slight giving the urine smok appearance. Erythrocytes are detectable by microscopy or by chemical testing for hemoglobin. Presence of RBC casts in urine is classical feature of nephritic syndrome. 2. Proteinuria Proteinuria is mild (< 3 gm/day) also called nephritic range proteinuria or subnephrotic range proteinuria. Proteinuria is nonselective. Edema --> Usually mild and results from sodium and water retention. Liguria --> Reflects the severity of glomerular involvement. Note ? Edema and proteinuria are not as severe as in nephrotic syndrome.